Pelvic splanchnic nerve is formed by :
1. Pelvic splanchnic nerve is formed by :
2. Posterior rami of S2-S3 S4
3. Anterior rami of L5 SI S2
4. Anterior rami of S2 Si S4

Correct answer: 4. Anterior rami of S2 Si S4

Explanation: D. i.e. Ventral/ Anterior rami of Sz, S3, S4Parasympathetic supply of gastrointestinal tract from pharynx upto midgut (or proximal 2/3 transverse colon) is supplied by vagus nerve and parasympathetic supply of hindgut (i.e. distal 1/3 transverse colon onwards) is by pelvic splanchnic nerve.Vermiform appendix is derived from midgut and is supplied by vagus nerve (parasympathetic) and T9 -- Tip nerves through celiac plexus (sympathetic)Q.